Most sensitive diganostic test for dengue is?
1. IgMELISA
2. Complement fixation test
3. Neutralization test
4. Electron microscopy

Correct answer: 1. IgMELISA

Explanation: IgM antibody provides early diagnosis,the IgM ELISA test offers reliable diagnosis REF:ANANTHANARYANAN TEXT BOOK OF MICROBIOLOGY 9EDITION PGNO.523